Maximum shortening of lower limb is seen in:
1. shaft femur
2. Neck femur
3. intertrochanter
4. Transcervical

Correct answer: 1. shaft femur

Explanation: A i.e. Shaft femur Lower limb injures associated with maximum shortening are posterior dislocation of hip and fracture shaft femurQ